Type 2 endometrial carcinoma is associated with ?
1. hyperplasia
2. hypertrophy
3. metaplasia
4. atrophy

Correct answer: 4. atrophy

Explanation: Classification of endometrial carcinoma : TYPE 1 * Associated hyperestrogenism. * Associated with hyperplasia. * Patients usually peri-memopausal. * Estrogen & progesterone receptors common. * Usually endometrioid & mucinous subtypes. * Favourable prognosis. TYPE 2 * Not related to hyperestrogenism. * Usually atrophic endometrium. * Postmenopausal patients. * Estrogen & progesterone receptors uncommon. * Usually serous or clear cell subtypes. * Aggressive, poor prognosis. ref : robbins book of pathology 10th ed